A male child with gall bladder stone has Hb-6 gm%, serum bilirubin 2.5 mg % and high urobilinogen in urine . The diagnosis is :
1. Haemolytic jaundice
2. Obstructive jaundice
3. Secondary biliary cirrhosis
4. Hepato cellular jaundice

Correct answer: 1. Haemolytic jaundice

Explanation: Ans. is 'a' Hemolytic jaundice The history of gall stones and laboratory findings of the patients suggests Hemolytic Anaemia.In Hemolytic Anaemia there isDecrease in HbIncrease in Serum Bilirubin (Indirect or unconjugated )Increase in Urine urobilinogen.* Hemolytic Anaemia is an important cause of Gall stones (Pigment stones)In obstructive jaundice - There will be increase in Serum Alkaline Phosphatase and decreased urobilinogen in urine.Secondary biliary cirrhosis: It causes Cholestatic pattern of jaundice in which Alkaline phosphatase is increased out of proportion of ALT/AST.Hepatocellular jaundice: In this pattern of Jaundice ALT/AST elevated out of proportion of alkaline phosphatase.These serological markers of jaundice are not elevated in the patients. So these choices have been ruled out.